A patient is admitted with acute organophosphorus insecticide poisoning, develops ptosis, inability to lift the head and difficulty in breathing on the third day. The most likely diagnosis is:
1. Hypokalemia
2. Inflammatory polyneuropathy
3. Intermediate syndrome
4. Polymyositis

Correct answer: 3. Intermediate syndrome

Explanation: Ans. Intermediate syndrome